Odontoblasts release inflammatory chemokine ___________which is chemotactic for neutrophils.
1. Interleukin 6
2. Interleukin 8
3. Interleukin 1
4. Interleukin 2

Correct answer: 2. Interleukin 8

Explanation: Odontoblasts release inflammatory chemokine interleukin-8 which is chemotactic for neutrophils. Nerve growth factor and its receptor found in the odontoblasts are chemo attractants for neutrophils. Nitric oxide synthetase are important enzymes for vasodilatation and blood pressure regulation. These have been identified in odontoblasts and endothelial cells of the pulp. This finding suggests that they may have a role in mediating cell proliferation and vasodilatation